In a patient presenting with diarrhoea due to vibrio cholera, which of the following will be present -a) Abdominal painb) Presence of leukocytes in stoolc) Feverd) Neutrophiliae) Ocurrence of many cases in the same locality
1. de
2. bc
3. cd
4. bd

Correct answer: 1. de